Which among the following is identified by Western blotting
1. DNA
2. RNA
3. Proteins
4. t-RNA

Correct answer: 3. Proteins

Explanation: The procedure to separate and detect DNA fragments, termed Southern blotting. The Northern and Western blot transfer techniques are used to size and quantitate specific RNA and protein molecules, respectively. A fourth hybridization technique, the Southwestern blot, examines protein-DNA interactions. In this method, proteins are separated by electrophoresis, blotted to a membrane, renatured, and analyzed for an interaction with a particular sequence by incubation with a specific labeled nucleic acid probe. Ref: Weil P. (2011). Chapter 39. Molecular Genetics, Recombinant DNA, & Genomic Technology. In D.A. Bender, K.M. Botham, P.A. Weil, P.J. Kennelly, R.K. Murray, V.W. Rodwell (Eds), Harper's Illustrated Biochemistry, 29e.